Which of the following procedure is a sequential step of osseous resection technique?
1. Hemisection
2. Root resection
3. Radicular blending
4. Tunneling

Correct answer: 3. Radicular blending